Risk factor for atherosclerosis
1. Smoking
2. Hypertension
3. Diabetes
4. All of the above

Correct answer: 4. All of the above